High tracheostomy is indicated in -
1. Carcinoma
2. TB
3. Tetanus
4. Diphtheria

Correct answer: 1. Carcinoma